Local anaesthesia causing methemoglobineinia -
1. Procaine
2. Prilocaine
3. Etodicaine
4. Ropivacaine

Correct answer: 2. Prilocaine

Explanation: O-toludine metabolites of prilocaine accumulate after large dose of drug convert hemoglobin to methemoglobin lead to methemoglobulinemia, dose depndent(range of 10mg/kg) Treatment of methemoglobinemia is IV methylene blue Benzocaine also cause methemoglobinemia